Superior oblique muscle is supplied by:
1. Third nerve
2. Fourth cranial nerve
3. Fifth cranial nerve
4. Sixth cranial nerve

Correct answer: 2. Fourth cranial nerve

Explanation: SO4 -Superior oblique muscle is supplied by 4th cranial nerve- trochlear LR 6- Lateral rectus is supplied by 6th nerve - abducens . Rest all EOM s, LPS are supplied by 3rd cranial nerve occulomotor . 2nd cranial nerve is involved in optic pathway, light reflex NOTE- TROCHLEAR NERVE has dorsal decussation.hence all the fibres decussate are distributed to the superior oblique muscle of the opposite side. Both superior rectus and superior oblique muscles both receive deccusated fibres and controlled by C/L NUCLEUS